Premedication in anaesthesia is given for -
1. Decreasing the dose of anaesthetic drugs
2. Decreasing post-operative complications
3. Reliving the anxiety
4. All of the above

Correct answer: 4. All of the above

Explanation: Premedication advantages : anxiolysis,to decrease the dose of anesthetic and analgesic drugs,to prevent complications like aspiration,DVT Drugs used are : Anxiolytoics,sedatives,antisialogogues,anti-emetics,analgesics,antacids.